DOC for primary open angle glaucoma is
1. Beta-blockers
2. CA inhibitors
3. Miotics
4. PG analogues

Correct answer: 4. PG analogues

Explanation: Latanoprost-pgf2 alpha is the DOC for primary open angle glaucoma while acetazolamide is the DOC for acute congestive glaucoma Ref: KDT 6th ed pg 139-140